Programmed cell death without caspase activation
1. Autophagy
2. Necroptosis
3. Pyroptosis
4. Gangrene

Correct answer: 2. Necroptosis

Explanation: Necroptosis is a hybrid of necrosis (consider this more) and apoptosis. It is a programmed cell death without caspase (cysteine- aspartic proteases) activation